True about bony ankylosis:
1. Painful condition
2. Tubercular arthritis is most common cause
3. Septic arthritis leads to bony ankylosis
4. Spine tuberculosis is the leading cause

Correct answer: 3. Septic arthritis leads to bony ankylosis

Explanation: Ans. (c) Septic arthritis leads to bony ankylosisRef: Maheshwari 5th ed./182Bony Ankylosis Vs Fibrous AnkylosisBONYFIBROUS* Painless* MCC: Septic arthritis > TB spine* Painful* MCC: Tubercular arthritis of hip and knee